Which of the following infection may cause asherman syndrome?
1. Chlamydia
2. Staphylococcus
3. Tuberculosis
4. Candida

Correct answer: 3. Tuberculosis

Explanation: Amenorrhea may occur if there is no functioning endometrium. When the findings of the physical examination are normal, anatomic abnormalities of the uterine cavity should be considered. Asherman syndrome, which is more common with secondary amenorrhea or hypomenorrhea, may occur in patients with risk factors for endometrial or cervical scarring. Such risk factors include a history of uterine or cervical surgery, infections related to use of an intrauterine device, and severe pelvic inflammatory disease. Asherman syndrome is found in 39% of patients undergoing hysterosalpingography who previously underwent postpartum curettage. Infections such as tuberculosis and schistosomiasis may cause Asherman syndrome.Reference: Berek and Novak's gynecology; 14th edition; Chapter 30; Amenorrhea